Delayed eruption of teeth is seen in:
1. Hypovitaminosis.
2. Hypothyroidism.
3. Hypoparathyroidism
4. All of the above.

Correct answer: 4. All of the above.

Explanation: Delayed eruption of teeth:

Rickets (Hypovitaminosis D)
Hypothyroidism
Hypoparathyroidism’
Trick = ALL “Hypo” conditions

Hyper Parat Hyroidism → No effect on teeth only effects bone